Which of the following is in anterior relation to the head of pancreas?
1. Common bile duct
2. Gastroduodenal artery
3. Inferior vena cava
4. Aorta

Correct answer: 2. Gastroduodenal artery